A 62 year male from Texas who was on antipsychotic treatment was brought to the hospital with history of having taken overdose, He was complaining of dry mouth, blurring of vision and mydriasis. He has not passed urine for 14 hours now. The bladder is palpable, the medication could be:
1. Lithium
2. Selengilline
3. Amitryptiline
4. Denamphetamine

Correct answer: 3. Amitryptiline

Explanation: Amitryptiline